Henoch Schonlein purpura presents with deposition of:
1. IgG
2. IgA
3. IgM
4. IgE

Correct answer: 2. IgA

Explanation: Henoch-Schonlein purpura, the most common systemic vasculitis in children. Typical features are palpable purpura, abdominal pain, arthritis, and hematuria. Direct immunofluorescence of the skin lesions demonstrates immunoglobulin deposition in and about affected blood vessels. All immunoglobulin classes may be present, but IgA is always present. Many times, it is the only immunoglobulin detected. Ref: Cutaneous Medicine: Cutaneous Manifestations of Systemic Disease By John A. Flynn (MD.), Thomas T. Provost, John A Flynn, 2001, Page 180 ; Harrison's 17th ed chapter 319